True about iron administration
1. Iron-sorbitol-citric acid is given IV
2. Iron-dextran binds to transferrin
3. Iron-dextran is not excreted
4. Iron-dextran has low molecular weight

Correct answer: 3. Iron-dextran is not excreted

Explanation: Ans. is'c'i.e., Iron-dextran is not excreted.Ref: KDT llth/e p. 572